Soldered connectors in fixed partial dentures involve the use of an intermediate metal alloy whose melting temperature is
1. Higher than parent metal
2. Lower than parent metal
3. Equal to parent metal
4. Unrelated to parent metal

Correct answer: 2. Lower than parent metal

Explanation: The flow temperature of the filler metal should be at least 55.6 °C lower than the solidus temperature of the substrate metals.
Ref: Phillip’s 12th edition page 390.